Which of the following drugs can be admistered by subcutaneous nerve
1. Albuterol
2. Terbutaline
3. Metaproterenol
4. Pirbuterol

Correct answer: 2. Terbutaline

Explanation: Refer Katzung 12/e p344 All four drugs I. e, salbutomol, terbutaline, metaproterenol, pirbuterol are available as metered dose inhaler Salbutomol and terbutaline are also available in tablet forms Only terbutaline is available as subcutaneous injection